Chalcosis is seen with -
1. Pb
2. Cu
3. Fe
4. Hg

Correct answer: 2. Cu

Explanation: Chalcosis refers to the specific changes produced by the alloy of copper in the eye.